Breslow's method of histological staging of Malignant Melanoma is:
1. Depth of penetration relation to layers of dermis
2. The vertical distance in mm from granular cell layer to deepest part of melanoma
3. The depth of invasion from stratum. corneum to deepest part of melanoma
4. Width of lesion measured in mm

Correct answer: 2. The vertical distance in mm from granular cell layer to deepest part of melanoma

Explanation: Histopathological staging of malignant melanoma is done by 2 methods:
i) Breslow's method : The vertical distance in mm from granular cell layer to deepest part of melanoma.
ii) Clark method : Depth of penetration is described in relation to different layers of skin.